Bisphoshonates are prescribed to a patient with the following advice
1. Take empty stomach with plenty of water
2. Take after meals
3. Duscintunes if gastritis develops
4. Discontinues if severe bone pain occurs

Correct answer: 1. Take empty stomach with plenty of water

Explanation: Refer KDT 7th/345 Bisphoshonates are to be taken empty stomach in the morning with full glass water and patient is instructed not to lie down or take food for at least 30 min. These measures are required to prevent contact of the drug with esophageal mucosa which result in esophagitis